Desk for student used is
1. Plus desk
2. Minus des
3. Zero desk
4. No desk

Correct answer: 2. Minus des

Explanation: Minus desk